Vertebral artery passes through foramen of transverse processes of -
1. All cervical vertebrae
2. 2nd to 5th cervical vertebrae
3. All except 1st cervical vertebra
4. All except 7th cervical vertebra

Correct answer: 4. All except 7th cervical vertebra

Explanation: Vertebral artery, traverses through foramina transversaria of upper six vertebrae (C1-C6).